Respiratory compromise is typically seen in?
1. Incomplete unilateral recurrent laryngeal nerve palsy
2. Complete unilateral recurrent laryngeal nerve palsy
3. Bilateral recurrent laryngeal nerve palsy
4. Superior and Recurrent laryngeal nerve palsy

Correct answer: 3. Bilateral recurrent laryngeal nerve palsy

Explanation: Ans. C. Bilateral recurrent laryngeal nerve palsyPARALYSED LARYNGEAL NERVEEXTENT OF INVOLVEMENTPOSITION OF VOCAL CORDVOICERESPIRATIONSWALLOWINGUnilateralIncompleteMedianNormalNormalNormalRecurrent L N Unilateral Recurrent L NCompleteParamedianHoarse or NormalNormalNormalBilateral Recurrent L N Median or ParamedianNormalDyspnoeaNormalSuperior with Recurrent L NUnilateral or bilateralCadaveric, Slack, WavyFeeble or RoughNormalInhalation into larynx